Not included in 5 cleans in conduct of delivery is
1. Clean hands
2. Clean cord cut
3. Clean Perineum
4. Clean cord tie

Correct answer: 3. Clean Perineum